Rate of newly formed Osteoid mineralization can be best estimated by?
1. Immunofluorescence
2. Von Kossa stain for calcium
3. Tetracycline labeling
4. Alizarin red stain

Correct answer: 3. Tetracycline labeling

Explanation: Ans. C. Tetracycline labelingTetracycline labeling of bonea. Tetracycline labeling is used to determine the amount of bone growth within a certain period of time (approx. 21-day period).b. Osteoid is new bone that has been laid down by the osteoblasts and is non-mineralized.c. Usually tetracycline is given for several days in a row at 2 time points with a 10-day gap in between the dosing periods.d. It is recommended that the biopsy not be taken until at least 3-5 days after the last label.e. The label is incorporated into the mineralized bone and fluoresce under UV light microscopy.f. The bone must be processed mineralized in order to view the labels. Decalcification of the bone removes the labels.g. The quantitative interpretation of the bone histology, quantification of the various features, and bone dynamics with this method increases its sensitivity and aid in comparison of biopsy sample.h. If interested more in the measuring of osteoid, then staining the sections with Sanderson's Rapid Bone Stain (RBS) or McNeal's Tetrachrome is recommended. The RBS clearly differentiates the mineralized from the non-mineralized tissues in bone that has been processed in plastics.